Cushing's triad includes all except:
1. Hypertension
2. Bradycardia
3. Tachycardia
4. Irregular respiration

Correct answer: 3. Tachycardia

Explanation: Cushing's Triad:
Hypertension, bradycardia and irregular respiration form the Cushing triad.
It’s a protective reflex to overcome the CNS ischemic response due to an increase in CSF pressure. This reflex leads to increase in arterial pressure above the CSF and blood flows once again into blood vessels of the brain to relieve ischemia. This increase in arterial pressure (hypertension) causes reflex bradycardia.
Reference: Ganong’s Review of Medical Physiology T W E N T Y - F I F T H   E D I T I O N page no 593